Bacteria may acquire characteristic s by all of the following except -
1. Taking up soluble DNA fragments across their cell wall from other species -
2. Incorporating part of host DNA
3. Through bacteriophages
4. Through conjugation

Correct answer: 2. Incorporating part of host DNA

Explanation: Interstrain transfer of DNA among prokaryotes is ubiquitous and contributes significantly to the genetic diversity in bacteria. The three major forms of prokaryotic genetic exchange are distinguished by the form of the donor DNA. In Transformation, there is direct uptake of donor DN by the recipient cells, which may be natural or forced In Transduction, the donor DNA is carried in bacteriophage and is transferred to the recipient by the mechanism used for phage infection In Conjugation, the donor cell contribute energy and building blocks to the synthesis of new DNA strand, which is physically transferred into the recipient cell, usually by a tube called sex pilus Ref: Ananthanarayan & panickers textbook of microbiology 8th edition page no:72